Jugulodigastric lymph node drains which part?
1. Tonsil
2. Palate
3. Tongue
4. Teeth

Correct answer: 1. Tonsil

Explanation: Ans. A. TonsilThe deep cervical lymph nodes are a group of cervical lymph nodes found near the internal jugular vein.They can be divided into upper and lower groups, or superior and inferior groups.The jugulodigastric lymph node is a large node found in the proximity of where the posterior belly of the digastric muscle crosses the internal jugular vein. It mainly drains tonsil and is considered as "Lymph node of tonsil".